Pharmacovigilance is done for monitoring aEUR'
1. Drug price
2. Unethical practices
3. Drug safety
4. Pharmacology students

Correct answer: 3. Drug safety

Explanation: Drug safety Pharmacovigilance is defined as "All methods of assessment and prevention of adverse drug reactions". National pharmacovigilance program (India) 2004 India's drugs control department within the ministry of health and family welfare initiated the establishment of a nationwide network to build a comprehensive phannacovigilance data system in 2004. The national pharmacovigilance programme for India is sponsored by World Health Organization (WHO) and is funded by the World Bank. The national pharmacovigilance programme is based on the recommendations made in WHO document titled "safety monitoring of medicinal products - Guidelines for setting up and running (I pharmacovigilance centre". The programme particularly solicits reports of:- All "adverse events" suspected to have been caused by new drugs and drugs of current interest (list to be published by CDSCO from time to time). All suspected drug interactions. Reactions to any other drugs which are suspected of significantly affecting a patient's management including reactions suspected of causing:- - Death - Life threatening - Hospitalisation (initial or prolonged) - Disability (significant persistent or permanent) - Congenital anomaly - Required intervention to prevent permanent impairment or damage